T - 10 Protocol' for treatment of osteosarcoma includes all of the following except -
1. High dose methotrexate
2. Bleomycin, Cyclophosphamide, Doxorubicin (BCD)
3. Vincristine
4. Etoposide

Correct answer: 4. Etoposide

Explanation: The T-10 protocol and its variants consists in a chemotherapy regimen with high doses of methotrexate, doxorubicin, cisplatin and a combination of bleomycin + Cyclophosphamide + Dactinomycin.
Although most textbooks, do not include `Vincristine' in the description of 'T-10' protocol for osteosarcoma, this chemotherapeutic agent (vincristine) has been described in the original description of 'T-10, Regimen by 'Rosen' Vincristine is also included on a constituent of the T10 Regimen in some textbooks including 'Principles and Practice of Pediateric Oncology' 5th /1102.